GLUT 4 is present in ?
1. Endothelium
2. Liver
3. Cardiac muscle
4. Lens

Correct answer: 3. Cardiac muscle

Explanation: Ans. is 'c' i.e., Cardiac muscleGLUT4 transporters mediate insulin dependent glucose uptake in skeletal muscle, cardiac muscle and adipose tissue.